Maximum blood flow in ml/kg/min is:
1. Kidney
2. Heart
3. Brain
4. Adrenal

Correct answer: 1. Kidney

Explanation: Kidney